Flexible sigmoidoscope is .........cm length:
1. 30 cm
2. 40 cm
3. 60 cm
4. 70 cm

Correct answer: 3. 60 cm

Explanation: Ans. (c) 60cmRef: Bailey 26th Edition, Page 1217The image from Bailey demonstrates all the scope lengths:* Proctoscope: 8cm* Per rectal examination: 12cm* Sigmoidoscope (Rigid): 18cm* Sigmoidoscope (Flexible): 60cm* Colonoscope: 160cm